Which of the following drugs does not cause hypoglycemia
1. Acarbose
2. Insulin
3. Glimepride
4. Nateglinide

Correct answer: 1. Acarbose

Explanation: Refer Katzung 11/e p 743 Drugs that act by realese of insulin can cause hypoglycemia Therefore glimepride and nateglinide that blocks ATP sensitive potassium channels and release insulin will cause hypoglycemia as an adverse effect